Female sterilization is absolutely contraindicated in:
1. Heart disease
2. Diabetes mellitus
3. Hypertension
4. None of the above

Correct answer: 4. None of the above

Explanation: There is no absolute medical contraindication for female sterilization. Also remember, : FEMALE STERILIZATION MALE STERILIZATION - Married - Married - 22-49 yrs old female - 22-60 yrs old male - >= 1 child - >= 1 child - No past history in self/ spouse sterilization - No past history in self/ spouse sterilization - MINILAP - Done by trained MBBS/ MD Gyn-obs/ DGO - Conventional vasectomy - Trained MBBS & above - Laproscopic sterilization- MD Gyn-obg /DGO - MS surgery - No scalpel vasectomy - Trained MBBS & above